Palpable purpura is caused by
1. HSP
2. PAN
3. Microscopic polyangitis
4. All of the above

Correct answer: 4. All of the above

Explanation: palpable purpura is due to deposition of immune complexes at the site, seen in HSP,Arthritis, gut vasculitis,glomerulonephritis, bacterial endocarditis, gonococcaemia,meningococcaemia and rocky mountain spotted fever. Page no.309. Reference IADVL's concise textbook of dermatology